Reticulocytosis is not seen in:
1. Chronic renal failure anemia
2. Hemorrhage
3. Hereditary spherocytosis
4. Paroxysmal nocturnal hemoglobinuria

Correct answer: 1. Chronic renal failure anemia

Explanation: Ans. A: Chronic renal failure anemiaReticulocytes are immature RBCs, typically composing about 1% of the red cells in the human body. Like mature red blood cells, reticulocytes do not have a cell nucleus.They are called reticulocytes because of a reticular (mesh-like) network of ribososmal DNAWhen there is an increased production of red blood cells to overcome chronic or severe loss of mature red blood cells, such as in haemolytic anemia, there is markedly high number and percentage of reticulocytes.Abnormally low numbers of reticulocytes can be attributed to;ChemotherapyAplastic anemiaPernicious anemiaBone marrow malignanciesOther causes of anaemia